Minimum concentration of reduced hemoglobin required for cyanosis is
1. 1gm/dl
2. 3gm/dl
3. 5gm/dl
4. 7gm/dl

Correct answer: 3. 5gm/dl

Explanation: Cyanosis refers to a bluish discolouration of the skin and mucous membranes resulting from an increased quantity of reduced hemoglobin(I.e.,deoxygenated hemoglobin)or of hemoglobin derivatives(eg.,methemoglobin or sulfhemoglobin)in the small blood vessels of those tissues.Cyanosis becomes apparent when the concentration of reduced hemoglobin in capillary blood exceeds 5gm/dL. Ref:Harrison' s medicine-18th edition page no:288.